30 years old primipara in labour with transverse lie. Treatment of choice is :
1. Internal cephalic version
2. Emergency cesarean section
3. Wait and watch
4. External cephalic version

Correct answer: 2. Emergency cesarean section

Explanation: Ans. is b i.e. Emergency cesarean section Patients in labour with transverse lie can be managed by external cephalic version followed by surgical rupture of the membrane. But it is important to note that the patient is a primigravida with age 30 years i.e. elderly primi, so, ECV is contraindicated.